For a definitive diagnosis of intellectual disability reduced level of intellectual functioning should be seen along with
1. Impaired motor skills
2. Impaired speech
3. Academic difficulties
4. Impaired adaptive functioning

Correct answer: 4. Impaired adaptive functioning

Explanation: Reduced level of intellectual functioning resulting in diminished ability to adapt to the daily demands of the normal social environment as a diagnostic criteria in ICD, asks for IQ tests to be done with adaptive function assessment .